Posterior boundary of Epiploic foramen is formed by
1. L1 vertebra
2. T12 Vertebra
3. T11 Vertebra
4. T10 Vertebra

Correct answer: 2. T12 Vertebra

Explanation: Posterior boundary of Epiploic foramen is formed by Inferior venacava, T12 Vertebra and Right Suprarenal gland